Administration of which antiepileptic drug is associated with development of hyperkinesia in children -
1. Phenytoin sodium
2. Sodium valproate
3. Carbamazepine
4. Phenobarbitone

Correct answer: 4. Phenobarbitone

Explanation: Ans. is 'd' i.e., Phenobarbitone